Most common benign tumour of the oesophagus is:
1. Lipoma
2. Hamartoma
3. Leiomyoma
4. Hemangioma

Correct answer: 3. Leiomyoma

Explanation: BENIGN TUMORS OF ESOPHAGUS

Usually mesenchymal in origin.
Arise within the esophageal wall.

Types of benign tumors:

Leiomyomas - Most common.
Fibromas
Lipomas
Hemangiomas
Neurofibromas
Lymphangiomas.